Which of the following is a remnant of ductus arteriosus?
1. Ligamentum arteriosum
2. Ligamentum teres
3. Both of the above
4. None of the above

Correct answer: 1. Ligamentum arteriosum

Explanation: On the right, when the distal part of the sixth aortic arch and the fifth aortic arch disappear, the recurrent laryngeal nerve moves up and hooks around the right subclavian artery. On the left, the nerve does not move up, since the distal part of the sixth aortic arch persists as the ductus arteriosus, which later forms the ligamentum arteriosum Ref: Langman's embryology 11th edition Chapter 12.